Transposition of teeth refers to
1. Bucco rotation of 120°
2. Hypodontia
3. Teeth erupted in unusual position i.e, one tooth erupts in place of another
4. Inverted supernumerary teeth

Correct answer: 3. Teeth erupted in unusual position i.e, one tooth erupts in place of another